Swarming growth is shown by which gram positive bacilli:
1. Clostridium tetani
2. Clostridium welchii
3. Proteus
4. All of the above

Correct answer: 1. Clostridium tetani

Explanation: Ans. A: Clostridium tetani C tetani is an anaerobic gram-positive rod that forms terminal spores, giving it a characteristic tennis racquet appearance. Some strains do not sporulate readily, and spores may not appear until the third or fourth day of culture. Most strains are motile with peritrichous flagella; colonies often swarm on agar plates, but some strains are nonflagellated and nonmotile. The presence of C tetani should be suspected on isolation of a swarming rod that produces indole and has terminal spherical spores, but does not produce acid from glucose. Toxigenic C tetani contains a plasmid that produces a toxin called tetanospasmin, but nontoxigenic strains also exist. Tetanospasmin is responsible for the infamous toxemia called tetanus. The two animal species most susceptible to this toxemia are horses and humans.